Lipogenesis occurs in which cellular compartment:
1. Cytosol
2. Endoplasmic reticulum
3. Golgi body
4. Mitochondria

Correct answer: 1. Cytosol

Explanation: Ans. A. CytosolLipogenesis is the main pathway for fatty acid synthesis. Lipogenesis occurs in the cytosol of cells in many tissues such as liver, kidney, brain, lung, mammary gland, and adipose tissue. Palmitate is the end product of lipogenesis.